The term end-stage renal disease (ESRD) is considered appropriate when GFR falls to
1. 50% of normal
2. 25% of normal
3. 10-25% of normal
4. 5-10% of normal

Correct answer: 4. 5-10% of normal

Explanation: Ans. is 'd' i.e., 5-10% of normal